A woman complains of coloured haloes around lights in the evening, with nausea and vomiting, IOP is normal; Diagnosis is
1. Incipient stage glaucoma open angle
2. Prodromal stage, closed angle glaucoma
3. Migraine
4. Cluster Headache

Correct answer: 2. Prodromal stage, closed angle glaucoma

Explanation: B i.e. Prodromal stage of closed angle glaucoma In Prodromal (Latent) stage of angle closure glaucoma there occurs an attack of transient rise in IOP (40-60 mmHg) lasting for few seconds only Q. Such attacks are intermittent and are usually precipitated by overwork, anxiety, fatigue or due to dilation of pupil (as reading in dim illumination, or watching cinema in a darkened cinema hall) Q. During this phase patient experiences transient blurring of vision, coloured halos around the light due to corneal oedema and mild headache Q. On examination eye is white and not congested. Anterior chamber is narrow and gonioscopy reveals narrow angle.